Per capita allowance of water per day is recommended at
1. 70-80 lit
2. 80-120 lit
3. 120-150 lit
4. 150-200 lit

Correct answer: 4. 150-200 lit

Explanation: Water supply considered adequate to meet the need for domestic purposes:
Urban: 150-200 litres per capita per day Rural: 40-60 litres per capita per day
Daily drinking water requirement: 2-3 litres per capita per day.